True about Malignant Melanoma:
1. Acral lentiginous form is the most common type
2. Sentinel node biopsy is useful for staging disease
3. Breslow thickness is nowadays not considered an important prognostic indicator
4. Any adult naevus > 60 mm is suspect and anything changing to > 100 mm is more likely to be malignant

Correct answer: 2. Sentinel node biopsy is useful for staging disease

Explanation: Malignant melanoma Change in size - any adult naevus > 6 mm is suspect (for reference a lead pencil diameter is 7 mm) and anything changing to > 10mm is more likely to be malignant than benign Caused by UV exposure Superficial spreading form is the most common type. Breslow thickness is the most important prognostic indicator until there is lymph node involvement. Sentinel node biopsy is useful for staging disease Diagnostic rules for the examination of a nevus and to assess its malignant potential: A: Asymmetry Melanoma lesions are irregular in shape. B: Border irregular Melanoma usually have irregular ill defined borders. C: Color variegation Presence of multiple colors or the uneven distribution of color. D: Diameter >6 mm Melanoma lesions are often greater than 6 mm in diameter. E : Evolution Change in the size, shape, symptoms (itching or tenderness), surface, or color of a mole.